Fatty liver in Kwashiorkor occurs due to
1. High carbohydrate content in the diet
2. High fat content in the diet
3. Lack of substrates for protein synthesis in liver
4. Lack of substrates for gluconeogenesis in liver

Correct answer: 3. Lack of substrates for protein synthesis in liver

Explanation: Fatty liver is seen in some cases of kwashiorkor, but not in marasmus. Fatty liver is due to decreased lipoprotein synthesis.Ref: DM Vasudevan, page no: 440